Coffee bean sign is seen in –
1. Intus sus c eption
2. Bowel ischaemia
3. Sigmoid volvulus
4. Congenital hypertrophic pyloric stenosis

Correct answer: 3. Sigmoid volvulus

Explanation: Coffee bean sign is seen in sigmoid volvulus.